A 76-year-old woman presents with a 1-hour history of sub- sternal chest pain. Shortly after admission the patient expires. At autopsy, extensive calcium deposits are noted in the coronary and other arteries affected by severe atherosclerosis. Which of the following terms best describes these autopsy findings?
1. Dystrophic calcification
2. Hyperplastic calcification
3. Hypertrophic calcification
4. Metastatic calcification

Correct answer: 1. Dystrophic calcification

Explanation: Dystrophic calcification is a response to cell injury Serum levels of calcium are normal, and the calcium deposits are located in previously damaged tissue. This patient suffered from coronary artery atherosclerosis. The pathogenesis of the atherosclerotic plaque is a dynamic process that usually occurs over decades, leading to erosion, ulceration or fissuring of the surface of the plaque; plaque hemorrhage; mural thrombosis; and calcification. Calcification is thought to depend on a balance of mineral deposition and resorption in areas of vascular necrosis. These apposing metabolic processes are regulated by osteoblast-like and osteoclast-like cells in the vessel wall. Metastatic calcification (choice D) is associated with hypercalcemia. Physiologic calcification (choice E) occurs in normal bone.Diagnosis: Atherosclerosis, dystrophic calcification